A pregnant lady is suffering from peptic ulcer. Drug that is absolutely contraindicated is:-
1. Omeprazole
2. Ranitidine
3. Misoprostol
4. Famotidine

Correct answer: 3. Misoprostol

Explanation: Misoprostol (PGE1 analogue) is the MOST SPECIFIC drug for treatment and prevention of NSAID induced peptic ulcer (DOC is PPI). Commonest side effect of PG analogues is diarrhea and colicky abdominal pain. Misoprostol can cause abortion. It is therefore contraindicated in pregnancy.